Mallory hyaline changes seen in A/E:
1. Wilson's dosease
2. Indian childhood cirrhosis
3. Primary biliary cirrhosis
4. Hepatitis E

Correct answer: 4. Hepatitis E

Explanation: Ans. is 'd' i.e., Hepatitis E o Mallory bodies are eosinophilic intracytoplasmic inclusion bodies which are composed predominantly of keratin intermediate filaments. They are also known as alcoholic hyaline.o These inclusions are characteristic but not specific feature of alcoholic liver disease, as they are also seen in other conditions.o Causes of mallory hyaline are :-1) Alcoholic liver disease2) Primary billiary cirrhosis3) Indian childhood cirrhosis4) Wilson's disease5) Hepatocellular carcinoma6) Focal nodular hyperplasia7) Chronic cholestatic syndrome8) a1 - antitrypsin deficiency